EBV infects -
1. T -cells
2. Monocytes
3. B -cells
4. Eosinophils

Correct answer: 3. B -cells

Explanation: The virus enters the pharyngeal epithelial cells through CR2 receptors. It multiplies locally invades the bloodstream and infect B lymphicytes. REF:ANATHANARAYAN AND PANIKER'S TEXTBOOK OF MICROBIOLOGY 8TH EDITION PAGE NO:475